Which of the following is not a vasodilator?
1. PGI2
2. Lipoxin
3. Leukotriene C4
4. PGE2

Correct answer: 3. Leukotriene C4

Explanation: Thromboxane A2, Leukotrienes C4, D4, E4 are vasoconstrictors. PGI2, PGE1, PGE2, PGD2 and lipoxins are vasodilators.Ref: Robbins Basic Pathology, 7th Edition, Page 48.